Temperature required for isolation of compylobacter:
1. 20degC
2. 25degC
3. 37degC
4. 42degC

Correct answer: 4. 42degC

Explanation: Ans. is. 'd' i. e., 42degC